A 6 month baby presented with RR of 54/min with retractions. How should the doctor at PHC manage the case?
1. Classify as very severe pneumonia and refer immediately
2. Classify as severe pneumonia, start injectable antibiotic and then refer
3. Classify as pneumonia and start oxygen therapy
4. Classify as pneumonia, start oral antibiotics

Correct answer: 4. Classify as pneumonia, start oral antibiotics

Explanation: Presence of tachypnea and retractions classifies as pneumonia in this child. Hence this child should be given oral antibiotics. SIGNS CLASSIFY AS TREATMENT Any general danger sign or stridor in a calm child Severe pneumonia or VERY severe disease Give 1st dose of Inj. Ampicillin & Gentamycin and refer urgently to hospital Chest indrawing AND/ or fast breathing Fast Breathing < 2 months ->60/min < 2-12 months ->50/min < 1-5 years ->40/min PNEUMONIA 1. Give oral Amoxycillin x 5 days 2. If wheezing present, inhaled bronchodilator x 5D 3. Soothe the throat & relieve cough with a safer remedy 4. If Cough > 15 days or recurrent wheeze - refer for the evaluation of TB or bronchial asthma 5. Advise the mother when to return immediately 6. Follow up in 2 days If the O2 saturation < 90% - refer urgently No sign of pneumonia or very severe disease NO PNEUMONIA Cough or cold Steps 2 to 5 Follow up in 5 days General danger signs - Persistent vomiting - Unconsciousness - Convulsions - Inability to drink or breast feed - Lethargy CAUTION : CHEST INDRAWING IS NOW CLASSIFIED AS PNEUMONIA & NOT AS SEVERE PNEUMONIA